All are true about epidemiological features of cholera except ?
1. Epidemic is self limiting
2. Poor sanitation is a cause of epidemic
3. El Tor biotype has decreased endemicity
4. Onset of epidemic is abrupt

Correct answer: 3. El Tor biotype has decreased endemicity

Explanation: The El Tor biotypes have greater endemic tendency than its classical counterpart in that it causes a higher infection-to-case ratio (i.e. more inapparent infections and mild cases). About other options Cholera epidemic has an abrupt onset. It starts as common source epidemic and often treat an acute health problem. Then it continues as a propagated epidemics as cases become the source for the other persons. Cholera epidemic in a community is self-limiting. This is attributed to the acquisition of temporary immunity, as well as due to the occurrence of a large number of subclinical cases. Poor environmental sanitation is the most important predisposing factor for epidemic